Action of superior oblique is following except -
1. Extortion
2. Depression
3. Abduction
4. Intortion

Correct answer: 1. Extortion

Explanation: Superior oblique causes intorsion (not extorsion).